RDA cover of nutrient requirement of -
1. 50% of individuals
2. 75% of individual
3. 98% of individuals
4. Same as adequate intake

Correct answer: 3. 98% of individuals

Explanation: BALANCED DIET A diet may be defined as the kinds of food on which a person or group lives. A balanced diet is defined as one which contains a variety of foods in such quantities and proportions that the need for energy, amino acids, vitamins, minerals, fats, carbohydrate and other nutrients is adequately met for maintaining health, vitality and general well-being and also makes a small provision for extra nutrients to withstand short duration of leanness. A balanced diet has become an accepted means to safeguard a population from nutritional deficiencies. In constructing balanced diet, the following principles should be borne in mind : (a) First and foremost, the daily requirement of protein should be met. This amounts to 10-15 per cent of the daily energy intake. (b) Next comes the fat requirement, which should be limited to 15-30 per cent of the daily energy intake (c) Carbohydrates rich in natural fibre should constitute the remaining food energy. The dietary pattern varies widely in different parts of the world. It is generally developed around the kinds of food produced (or imported) depending upon the climatic conditions of the region, economic capacity, religion, customs, taboos, tastes and habits of the people. It takes into account 95-98% of population. Balanced diets formulated by the Indian Council of Medical Research are given in Annexure II at the end of this chapter. A nutritional education guide "The Food Guide Pyramid" emphasizes foods from the five major food groups shown in the three lower sections of the Pyramid. Each of these food groups provides some, but not all, of the nutrients required. Foods in one group can't replace those in another. No one of these major food groups is more important than another for good health, one needs them all. Ref: Park 23rd edition Pgno : 636